Hexokinase is a:
1. Transferase
2. Reductase
3. Oxidoreductase
4. Oxidase

Correct answer: 1. Transferase

Explanation: Transferase - enzymes catalyze transfer of a particular group (containing C. , N- or P-) from one substrate to another. Whereas, hydrolase bring about hydrolysis by addition of water.